Swarming growth on culture is characteristic of which Gram-negative organism-
1. Clostridium welchii
2. Clostridium tetani
3. Bacillus cereus
4. Proteus mirabilis

Correct answer: 4. Proteus mirabilis